The four major bile acids found in humans are synthesized from:
1. Cholesterol
2. Amino acids
3. Bilirubin
4. Protein

Correct answer: 1. Cholesterol

Explanation: When considering bile as a digestive secretion, it is the bile acids that represent the most important components. They are synthesized from cholesterol and secreted into the bile conjugated to glycine or taurine, a derivative of cysteine. Ref: Barrett K.E., Barman S.M., Boitano S., Brooks H.L. (2012). Chapter 25. Overview of Gastrointestinal Function & Regulation. In K.E. Barrett, S.M. Barman, S. Boitano, H.L. Brooks (Eds), Ganong's Review of Medical Physiology, 24e.